'Chancre redux' is a clinical feature of –
1. Early relapsing syphilis
2. Late syphilis
3. Chancroid
4. Recurrent herpes simplex infection

Correct answer: 1. Early relapsing syphilis

Explanation: In early latent syphilis (relapsing syphilis), recurrence of chancre occurs at the site of the original chancre, it is referred to as chancre redux.